Immunity by vaccination is
1. Active natural
2. Passive natural
3. Active acquired
4. Passive acquired

Correct answer: 3. Active acquired

Explanation: Active immunity occurs as a result of infection or by specific immunization and is usually associated with the presence of antibodies or cells having a specific action on the microorganism or on its toxin. Ref: 25th edition, Park's Textbook of Preventive and Social Medicine, Page no. 109